An objective sign of depression involving the upper eyelid is:
1. Veraguth sign
2. Omega sign
3. Empty delta sign
4. Hoffman's sign

Correct answer: 1. Veraguth sign

Explanation: Veraguth's sign Objective sign of depression. It was described by Otto Veraguth. It is a triangular fold on the nasal side of the upper eye lid. The patient appears to have a distant stare.